Fungal infection commonly found in patients with uncontrolled diabetes is?
1. Histoplasmosis
2. Mucormycosis
3. Cryptococcosis
4. Rhinosporidiosis

Correct answer: 2. Mucormycosis